Sparfloxacin and astemizole can cause:
1. Ventricular arrhythmia
2. Myopathy
3. Electrolyte imbalance
4. Nephropathy

Correct answer: 1. Ventricular arrhythmia

Explanation: Ans. (A) Ventricular arrhythmia(Ref: KDT 8/e p764)Both sparfloxacin and astemizole blocks cardiac K+ channels in high concentration. This property may result in torsades de pointes (polymorphic ventricular tachycardia).Other drugs causing torsades de pointes are:TerfenadineCisaprideZiprasidoneGrepafloxacin